Reduced osmolarity ORS does not contain which of the following ion -
1. Sodium
2. Potassium
3. Lactate
4. Citrate

Correct answer: 3. Lactate

Explanation: Composition of standard and reduced osmolarity ORS solutions ORS - Standard Reduced Osmolarity Contents| mEq/L mEq/L Glucose 111 75 Sodium 90 75 Choride 80 65 Potassium 20 20 Citrate 10 10 Osmoarity 311 245 30 mmol/l of bicarbonate instead of 10 mmol/l of citrate REF : OP-GHAI 9th edition